What is another name for buccal coitus?
1. Buggery
2. Sin of Gomorrah
3. Cunnilingus
4. Fetishism

Correct answer: 2. Sin of Gomorrah

Explanation: Ans. is 'b' i.e., Sin of Gomorrah Buccal coitus (coitus per os/sin of gomorrah) In this, the male organ is introduced into mouth, usually of a young child. Fellatio is oral stimulation of penis by male or female. Cunnilingus is oral stimulation of female genitals.